Boxer's ear is -
1. Hematoma ear
2. Malformed ear
3. Ear with absent tragus
4. Lacerated ear

Correct answer: 1. Hematoma ear

Explanation: Ans. is 'a' i.e., Hematoma ear Hematoma of Auricleo It is the collection of blood between the auricular cartilage and its perichondrium,o It is often the result of blunt trauma seen in boxers, wrestlers and rugby players, so called Boxer's ear.o Extravasated blood may clot and then organize resulting in typical deformity of cauliflower ear.